Carbamazepine in elderly causes ?
1. Hypernatremia
2. Hyponatremia
3. Hyperkalemia
4. Hypokalemia

Correct answer: 2. Hyponatremia

Explanation: Ans. is 'b' i.e., Hyponatremia orT Carbamazepine can cause hyponatremia and water intoxication at high doses. This adverse effect appears to he due to its ADH releasing property (resulting in dilutional hyponatremia). The same adverse effect can be utilized for treatment of diabetes insipidus.